Cholinergic receptors on blood vessel endothelium-
1. Ml
2. M2
3. M3
4. Nm

Correct answer: 3. M3

Explanation: Ans. is 'c' i.e., M3 o No direct cholinergic supply is present in blood vesselso But cholinergic receptor (M3 types) are present on blood vessels endothelium.o Stimulation of these receptors causes release of EDRF (NO) from endothelium resulting in vasodilatation.